FALSE statement about potassium balance is:
1. Most of potassium is intracellular
2. Three quarter of the total body potassium is found in skeletal muscle
3. Intracellular potassium is released into extra-cellular space in response to severe injury
4. Acidosis leads to movement of potassium from extracellular to intracellular fluid

Correct answer: 4. Acidosis leads to movement of potassium from extracellular to intracellular fluid

Explanation: Acidosis leads to movement of potassium from intracellular to extracellular fluid. Ref: Harrisons principles of internal medicine, 18th edition, chapter: 45.